Mechanism of action of aminoglycosides is ?
1. Inhibition of protein synthesis
2. Damage to cell membrane
3. Coagulation of proteins
4. Inhibition of cell wall synthesis

Correct answer: 1. Inhibition of protein synthesis

Explanation: Ans. is 'a' i.e., Inhibition of protein synthesis